In a dried skull, holes on the lingual aspects of the deciduous teeth are called
1. Volkmann canals
2. Canals of Hirschfeld and zuckerland
3. Haversian canals
4. Gubernacular canals

Correct answer: 4. Gubernacular canals